"Trident hand" seen in
1. achondroplasia
2. mucopolysaccharoidosis
3. diphyseal achlasia
4. cleido-cranial dystosis

Correct answer: 1. achondroplasia

Explanation: Ans is 'a' i.e. achondroplasia Trident hand: The hands are short and broad. The central 3 digits being divergent and of almost equal length.More about Achondroplasia Inheritance - AD*It is caused by failure of normal ossification of bones, mainly the long bones* resulting in dwarfism.Dwarfism is disproportionate * since growth of the trunk is only marginally affected. US/LS is >1*Shortening is specially marked in the proximal segments* of the limbs.Intelligence is normal*There is marked lumbar lordosis which may occasionally lead to compression of the spinal cord.